Overlaying is an example of:
1. Suffocation
2. Strangulation
3. Hanging
4. Drowning

Correct answer: 1. Suffocation

Explanation: Ans. Suffocation